Menopausal hot flushes coincide with
1. FSH secretion
2. Decrase in estrogen
3. LH surge
4. Increase in progesterone

Correct answer: 3. LH surge

Explanation: Before menopause, a woman's periods typically become irregular, which means that periods may be longer or shorter in duration or be lighter or heavier in the amount of flow. During this time, women often experience hot flashes; these typically last from 30 seconds to ten minutes and may be associated with shivering, sweating, and reddening of the skin. Hot flashes often stop occurring after a year or twoRef: Ganong's review of medical physiology; 24th edition; page no: 400